Glycosated Hb estimated by:
1. HPLC
2. ELISA
3. PCR
4. Spectrometry

Correct answer: 1. HPLC

Explanation: Ans: A (HPLC) MEASURING HBA,r https://en.Wikipedia.org/wiki/Glycated_ hemoglobinA number of techniques are used to measure hemoglobin Alert.Laboratories use:# High-performance liquid chromatography (HPLC): The HbAlcresult is calculated as a ratio to total hemoglobin by using a chromatogram,ImmunoassayEnzymaticCapillary electrophoresisBoronate affinity chromatographyA new colorimetric method for the estimation of glycosylated hemoglobin pubmed/7226519A new colorimetric method, based on the phenol sulphuric acid reaction of carbohydrates, is described for the determination of glycosylated hemoglobin.The new method is compared to the thiobarbituric acid method and the ion-exchange chromatographic method for the estimation of glycosylated hemoglobin in normals and diabetics.No significant correlation between fastingand postprandial blood sugar level and glycosylated hemoglobin level as determined by the two colorimetric methods was observed in diabetic patients.